In anterior teeth, the starting location for access cavity is the center of the anatomic crown on lingual surface at
1. Angle to it
2. In line to it
3. Perpendicular to it
4. All of the above

Correct answer: 3. Perpendicular to it